During a routine physical examination, a 58-year-old white male is found to have a 6-cm pulsatile mass in his abdomen. Angiography reveals a marked dilation of his aorta distal to his renal arteries. This aneurysm is most likely the result o
1. Atherosclerosis
2. Hypertension
3. Trauma
4. A previous syphilitic infection

Correct answer: 1. Atherosclerosis

Explanation: An aneurysm is an abnormal dilation of any vessel. Atherosclerotic aneurysms, the most common type of aortic aneurysms, usually occur distal to the renal arteries and proximal to the bifurcation of the aorta. Many atherosclerotic aneurysms are asymptomatic, but if they rupture they produce sudden, severe abdominal pain, shock, and a risk of death. Prior to rupture, physical examination reveals a pulsatile mass in the abdomen. Trauma may also lead to the formation of dissecting aneurysms Cystic medial necrosis refers to the focal loss of elastic and muscle fibers in the media of vessels and is seen in patients with hypertension, dissecting aneurysms, and Marfan's syndrome Syphilitic aneurysms are caused by obliterative endarteritis of the vasa vasorum of the aorta. These aneurysms are part of the tertiary manifestation of syphilis and become evident 15 to 20 years after persons have contracted the initial infection with Treponema pallidum Reference: Robbins & Cotran Pathologic Basis of Disease, 9edition.